Major bacterial enzyme responsible for putrefaction -
1. Hyaluronidase
2. Lecithinase
3. Metailloproteinase
4. Collagenase

Correct answer: 2. Lecithinase

Explanation: Lecithinase produced by Clostridium welchii is important in putrefaction as it digests lecithin, a component of cell membrane. It causes postmortem hemolysis of blood. Dr. Narayana Reddys Synopsis of Forensic Medicine & Toxicology 27 th edition pg. 82.